Pancytopenia with a cellular marrow is seen in all except:
1. PNH
2. Megaloblastic anemia
3. Myelodysplastic syndrome
4. Dyskeratosis congenital

Correct answer: 4. Dyskeratosis congenital

Explanation: Answer is D (Dyskeratosis congenita) Dyskeratosis congenita is associated with Pancytopenia and a hypocellular marrow.